Chorda tympani is a part of
1. Middle ear
2. Inner ear
3. External auditory canal
4. None of the above

Correct answer: 1. Middle ear

Explanation: The contents of middle ear : Three small bones or ossicles-malleus, incus and stapes Two muscles-tensor tympani and stapedius Two nerves-chorda tympani and tympanic plexus Vessels supplying and draining the middle ear Ligaments of the ear ossicles AirRef BDC volume3,sixth edition pg 275